Which of the following artificial teeth form is associated with less horizontal pressure?
1. Anatomic teeth
2. Semi anatomic teeth
3. Monoplane teeth
4. All of the above produce same pressure

Correct answer: 3. Monoplane teeth

Explanation: Cuspless teeth or monoplane teeth
“They are teeth designed without cuspal prominences on the occlusal surfaces” - GPT. Zero degree teeth are defined as, “Artificial posterior teeth having no cusp angles in relation to the horizontal occlusal surfaces”
Key Concept:
Anatomic teeth are more eﬃcient in mastication, but non anatomic teeth produce less lateral pressure  during function.
Ref: Textbook of prosthodontics by Nallaswamy Ed 2nd Pg 8